Best meathod of treatment of ulner never abscess in case of leprosy is:
1. High does of steroid
2. Incision and drainage
3. Thalidomide
4. High does of clofazamine

Correct answer: 2. Incision and drainage

Explanation: B i.e. Incision & Drainage Condition Treatment of choice Accessory treatment Neuritis in leprosy CorticosteroidQ Antileprotic drugs (ALD) Nerve abscess in leprosy Incision & drainageQ f/b ALD & steroid Type I Lepra reaction Type II lepra reaction CorticosteroidQ CorticosteroidQ Recurring & persistent Type II lepra reaction ThalidomideQ Incision and Drainage of abscess followed by anti leprotic treatment and glucocorticoids is done for nerve abscess in leprosy. Controversial question. In type I lepra reaction, thaladomide has no role but incision & drainage is done in nerve abscess not in acute neuritis.